Epithelial cells which ultimately keratinize are known as:
1. Keratinizing cells
2. Melanocytes
3. Non-keratinizing cells
4. Clear cells

Correct answer: 1. Keratinizing cells